Herberdens nodes are seen in:
1. Rubella
2. Rubeola
3. Osteoarthritis
4. Typhoid

Correct answer: 3. Osteoarthritis